Transrectal ultrasonography in carcinoma prostate is most useful for
1. Guided prostatic biopsies
2. Seminal vesicle involvement
3. Measurement of prostatic volume
4. To detect hypoechoic area

Correct answer: 1. Guided prostatic biopsies

Explanation: A i.e. Guided prostatic biopsy The major role of transrectal USG is to guide prostatic biopsiesQ.